Ankylostoma enters the human body by -
1. Ingestion
2. Inhalation
3. Penetration of skin
4. Inoculation

Correct answer: 3. Penetration of skin